Pseudomyxoma peritonei seen with which Ca -
1. Mucinous
2. Serous
3. Squamous cell
4. Lymphoma

Correct answer: 1. Mucinous

Explanation: Ans. is 'a' i.e., Mucinous Pseudomyxoma peritoneio Arises from ruptured mucinous adenocarcinoma of appendix or ovary,o Peritoneum is covered with mucus secreating tumor,o MC in women between 50-70 years age.o Distended abdomen with non shifting dullness.Treatmento Drainage of mucus and intraperitoneal fluid and mucus+Cytoreduction of primary and secondary tumor implants|| Peritoneotomy + OmentectomyRt. Colectomy (appendiceal tumor)or TAH -r BSO (ovarian tumor)o Post operetive intraperitoneal chemothrapy with 5FU, mitomycin C, oxaliplatin+Intraperitoneal mucolytics (Dextran sulfate and urokinase),o Sugarbaker's procedure - heated intraperitoneal chemotherapy as adjuvent after cytoreductive surgery.